Ankylosing apondylitis is associated with ?
1. HLA-B27
2. HLA-B-8
3. HLA - DW4/DR4
4. HLA - DR3

Correct answer: 1. HLA-B27

Explanation: Ans. is 'a' i.e., HLA-B27 There is strong correlation with HLA-B27 90-95% of cases are positive for HLA - B27.